A 32-year old male with no past medical history is brought to the emergency department after being injured in a bomb blast. On examination he is suspected to have a splenic injury and is supposed to undergo an emergency laparotomy. Which of the following is the ideal anaesthetic agent of choice ?
1. Remifentanil
2. Morphine
3. Etomidate
4. Halothane

Correct answer: 3. Etomidate

Explanation: Inducing agents of choice patients with hypotension are Ketamine and Etomidate :-
(1) If the patient is hypertensive at the time of induction → Etomidate is preferable.
(2) If the patient is normotensive or mild hypotensive → Either of two can be used.
(3) If the patient is severely hypotensive → Ketamine is preferred.